Cervical incompetence is characterised by:a) 1st trimester abortionb) 2nd trimester abortionc) Premature rupture of membraned) Circlage operation done
1. bcd
2. acd
3. ac
4. bd

Correct answer: 1. bcd